Myelofibrosis leading to a dry tap on bone marrow aspiration is seen with ach of the following condition
1. Burkitt's lymphoma
2. Acute erythroleukemia
3. Acute megakaryocytic leukemia
4. Acute myelomonocytic leukemia

Correct answer: 3. Acute megakaryocytic leukemia

Explanation: Ans. c. Acute megakaryocytic leukemia Bone marrow maybe difficult to aspirate in Acute megakaryocytic leukemia and more than 2/3rd of patients have significant fibrosis caused by release of fibrogenic cytokine Erythroleukemia (M6) FAB Bone marrow findings: Usually hypercellular with megaloblastic changesdeg - Erythroid precursors commonly have multicentricity (65%), karyorrhexis (53%), morulae (25%) and cytoplasmic inclusionsdeg. MC immunophenotypic marker for erythroleukemia: Glycoprotein 7 and transferring receptor (CD-71 Acute Megakaryocytic Leukemia (M7) FAB Bone marrow findings: Bone marrow maybe difficult to aspirate and more than 2/3' of patients have significant fibrosisdeg caused by release of fibrogenic cytokine Burkitt's Lymphoma Bone marrow findings: When the bone marrow is involved, aspirates reveal tumor cells with slightly clumped nuclear chromatindeg, 2-5distinct nucleoli and royal blue cytoplasm containing clear cytoplasmic vacuole Acute Myelomonocytic Leukemia (M4) FAB Bone marrow findings: Ultra-structures are present in association with monocytosis and myeloblastic/monoblastic infiltration of bone